A 20 year old foot ball player received a hard kick in the epigastrium. A large cystic swelling appeared in the epigastrium two weeks later. The most likely diagnosis is
1. Hydatid cyst of liver
2. Amoebic liver abscess
3. Pseudopancreatic cyst
4. Hematoma of rectus sheath

Correct answer: 3. Pseudopancreatic cyst

Explanation: Pancreatic Trauma Most common mechanism in children is abdominal blunt trauma Direct compression of the epigastrium against the vertebral column and a blunt object (handle bar) is typically seen after bicycle injuries Most common segment of the pancreas affected is the body Ref: Sabiston 20th edition Pgno :151-1535